Which of the following mutmurs increase with valsalva maneovre
1. Mitral stenosis
2. HOCM
3. Mitral regurgitation
4. Aortic stenosis

Correct answer: 2. HOCM

Explanation: Ref Harrison 19 th ed pg 1448 Accordingly, the systolic murmur of HOCM becomes louder during the strain phase of the Valsalva maneuver and after standing quickly from a squatting position. The murmur becomes softer with passive leg raising and when squatting.